The pressurized adaptation of the gold form within the space between tooth structure walls or corners that have been slightly deformed elastically is known as:
1. Cold welding
2. Wedging
3. Compaction
4. Condensation

Correct answer: 2. Wedging

Explanation: Two of the main processes that control the quality of the ﬁnal direct gold restoration are:

Cold welding
Wedging

Wedging refers to the pressurized adaptation of the gold form within the space between tooth structure walls or corners that have been slightly deformed elastically.
A totally dry cavity is mandatory throughout the compaction process to ensure complete cohesion. The increments of gold must be of a proper size for insertion and in the proper “atomically clean” condition for condensing or compacting. 
The ﬁrst segment must be suﬃciently large that it is secured by compacting it within the prepared cavity. The second and subsequent segments must cold weld to each other, and this will occur only if the surface is free of contaminants and moisture.
Ref: Phillip’s Science of Dental Materials ed 12 pg 414